Drug of choice for diphyllobothrium latum is
1. Mebendazole
2. Albendazole
3. Praziquantel
4. Pyrantel pamoate

Correct answer: 3. Praziquantel

Explanation: Praziquantel is the drug of choice for Diphyllobothrium latum. It is rapidly taken up by susceptible worms and act by causing leakage of intracellular calcium from the membranes producing contracture and paralysis of the worms.